Elderly male has 0.5 mm dilated tortous vein in the posterior part of right calf. What is stage as per CEAP classification?
1. C0
2. C1
3. C2
4. C3

Correct answer: 2. C1

Explanation: CEAP classification system: Used for chronic venous disorders (Clinical- etiology- Anatomy- Pathophysiology) CLINICAL (C OF CEAP) CLASSIFICATION (C0-6) Any limb with possible chronic venous disease is first placed into one seven clinical classes (C0-6), according to the objective signs of disease. Class Features 0 No visible or palpable sign of venous disease 1 Telangiectasia, reticular veins, malleolar flare 2 Varicose veins 3 Edema without skin changes 4 Skin changes ascribed to venous disease (e.g., pigmentation, venous eczema, lipodermatosclerosis) 5 Skin changes as defined above with healed ulceration 6 Skin changes as defined above with active ulceration